Gillette's space indicates which of the following?
1. Prevertebral space
2. Paravertebral space
3. Retropharyngeal space
4. Peritonsillar space

Correct answer: 3. Retropharyngeal space

Explanation: Retropharyngeal space is known as Gilette's space.